The drug that should be used for prophylaxis of close contacts of a patient suffering from meningococcal meningitis is :
1. Rifampicin
2. Dapsone
3. Erythromycin
4. Amikacin

Correct answer: 1. Rifampicin